In Dicumarol poisoning , which Vit K is used ?
1. Menadione
2. Menaqunone
3. Phytonadione
4. None of the above

Correct answer: 3. Phytonadione

Explanation: Ans. is 'c' i.e., Phytonadione Vit Ki (Phytonadione) is the preparation of choice for overdose of oral anticoagulants (Dicumarol). Remember Specific antidote for oral anticoagulants --> Vit K1 Specific antidote for heparin Protamine Specific antidote for fibrinolytics (e.g. streptokinase) -----> antifibrinolytics (epsilone amino-caproic acid, Tranaexaemic acid, Aprotinin).